Which of the following drugs does not act by blocking GP 2b/3a receptors
1. Eptifibadite
2. Abciximab
3. Tirofiban
4. Clopidogrel

Correct answer: 4. Clopidogrel

Explanation: Refer KDT 6 /e p 610 Clopidogrel inhibits ADP receptors whereas abciximab, tirigina, and eptifibadite are GP 2b/3a antagonists